Upper lobe bronchiectasis is seen in which disease?
1. Cystic fibrosis
2. Aspergilloma
3. HIV
4. Bronchogenic carcinoma

Correct answer: 1. Cystic fibrosis

Explanation: Answer- A. Cystic fibrosisUpper lobe bronchiectasis-Cystic fibrosisTuberculosisNon tuberculous mycobacterial infections